Measles vaccination is given at -
1. 9 months
2. At birth
3. 4 weeks
4. 8 weeks

Correct answer: 1. 9 months

Explanation: The WHO expanded programme on immunization recommends immunization at 9 months of age.
Now, second dose of measles is also given at 16-24 months in National Immunization Schedule.